Cavosurface margin angulation in chamfer finish line is:
1. Always 90°
2. 90° or less than 90°
3. 90° or more than 90°
4. 120°

Correct answer: 3. 90° or more than 90°